Auerbanchs plexus and Meissners ganglion cell are derived from
1. Yolk sac
2. Primordial germ cell
3. Neural Crest
4. Fetal GIT

Correct answer: 3. Neural Crest

Explanation: C i.e. Neural Crest